Most important receptors involved with schizophrenia are?
1. GABAA
2. GABAB
3. D2
4. 5-HT1

Correct answer: 3. D2

Explanation: Ans. is 'c' i.e., D2 * Dopamine hypothesis is the most accepted hypothesis for schizophrenia. There is hyperactivity of dopaminergic system. This hypothesis is supported by:i) Amphetamine and cocaine which release dopamine in central synapses induce schizophrenia like symptoms; andii) Antipsychotic drugs control the schizophrenic symptoms by blocking dopamine (D2) receptors.* Other neurotransmitters involved are: - Increased serotonin, Decreased GABA, variable change (Increased or decreased) glutamate, and increased norepinephrine.